Which of the following is an ester:
1. Chlorprocaine
2. Bupivacaine
3. Dibucaine
4. Prilocaine

Correct answer: 1. Chlorprocaine

Explanation: Ans: (a) ChlorprocaineESTER and AMIDESEster (one Tin name)Amides (2 Tin name)* Cocaine* Benzocaine* Chlorprocaine* Tetracaine* Lignocaine* Bupivacaine* Prilocaine* Dibucaine* EtidocaineRemember: Amide group of LA contain "2 i" in their names.* All LA causes causes vasodilation and hypotension, EXCEPT Cocaine. It causes vasoconstriction and significant rise in BP.